Treatment of choice in seronegative spondy- larthritis is -
1. Phenylbutazone
2. Aspirin
3. Indomethacin
4. Corticosteroid

Correct answer: 3. Indomethacin